One of the following syndrome is characterized by an esophageal web with resulting dysphagia, atrophic changes in the mucous membranes of the mouth and a hypochromic microcytic anemia
1. Marfan's syndrome
2. Plummer-vinson syndrome
3. Meckels syndrome
4. Sjogren's syndrome

Correct answer: 2. Plummer-vinson syndrome